PACS in medical imaging stands for -
1. Planned archiving common system
2. Planned archiving computerized sytem
3. Picture archiving and communication system
4. Picture archiving or computerised system

Correct answer: 3. Picture archiving and communication system

Explanation: PACS stands for Picture Archiving & communicating System .